Chalcosis is seen with
1. Pb
2. Cu
3. Fe
4. Hg

Correct answer: 2. Cu

Explanation: B i.e. Cu